Which of the following causes lupus like features-
1. Hydralazine
2. Amphetamines
3. Clozapine
4. Esmolol

Correct answer: 1. Hydralazine

Explanation: Ans. is 'a' i.e., Hydralazine Drugs inducing ANA and SLE :o Antiarrhythmics : Procainamide, disopyramide, propafenomeo Anti-hypertensives : hydralazine, methyldopao ACE inhibitorso Beta-blockerso Antithyroid-propylthiouracilo Antipsycbotics - chlorpromazine. lithiumo Anti-convulsauts : carbamazepine, phenytoino Antibiotic :Isoniazid, minocycline, macrodantino Antirheumatic : sulfasalazineo Diuretics : Hydroclorothiazideo Statins : Lovastatin, simvastatino Biologies : IFN, TNF-a inhibitors